All of the following are TRUE about the middle ear, EXCEPT:
1. The joints between ossicles are synovial
2. The chorda tympani nerve is related to the lateral wall
3. The facial nerve passes in a canal situated in the medial and anterior walls
4. The auditory tube connects the nasopharynx with the anterior wall

Correct answer: 3. The facial nerve passes in a canal situated in the medial and anterior walls

Explanation: The facial nerve passes in a canal situated in the posterior and medial walls of the middle ear. It is not associated with the anterior wall.